Aldosterone antagonists are NOT useful in the treatment of-
1. Hypertension
2. Congestive heart failure
3. Gynaccomastia
4. All

Correct answer: 3. Gynaccomastia

Explanation: Ans. is 'c' i.e., Gynaecomastia Spironolactone is a weak diuretic and can be used only in combinations with other more efficient diuretics? 1) Edema o It is more useful in cirrhotic and neph retie edema because in these conditions aldosterone level is high. o Spironolactone is the drug of choice for cirrhotic edema. 2) To counteract K+ loss due to thiazide and loop diuretics - 3) Hypertension 4) CHF